All of the following are causes of pansystolic murmur, EXCEPT :
1. VSD
2. TR
3. MR
4. ASD

Correct answer: 4. ASD

Explanation: Conditions associated with pansystolic murmur are VSD, TR and MR. On auscultation of patients with ASD: S1 is normal or split with accentuation of the tricuspid valve closure sound. Increased flow across the pulmonary valve result in mid systolic pulmonary outflow murmur. S2 is widely split. Amid diastolic rumbling murmur is heard in the tricuspid valve due to increased flow across the tricuspid valve. Ref: Child J.S., Aboulhosn J. (2012). Chapter 236. Congenital Heart Disease in the Adult. In D.L. Longo, A.S. Fauci, D.L. Kasper, S.L. Hauser, J.L. Jameson, J. Loscalzo (Eds), Harrison's Principles of Internal Medicine, 18e.